NK cells activity is enhanced by -
1. IL-1
2. TNF
3. IL-2
4. TGP-β

Correct answer: 3. IL-2

Explanation: IL-2 acts as a growth factor for N K cells.